ICD is revised, every -
1. 5 years
2. 10 years
3. 15 years
4. 20 years

Correct answer: 2. 10 years

Explanation: Ans. is 'b' i.e., 10 years International classification of disease (ICD)o The I CD was produced by WHO and has been accepted for national and international use.o Since its inception, ICD has been revised about once every 10 years,o The latest revision, the HP' revision (ICD-10). came into effect on January 1, 1993.o The ICD also provides a basis that can be accepted for use in other fields e.g. dentistry, oncology and ophthalmology,o The ICD-10 is arranged in 21 major chaptors.o ICD-10 is arranged in 3 volumes :-Volume 1 - Classifications, lists, nomenclature & definitionsVolume 2 -Instruction manualVolume 3 - Alphabetical index